25. The calcium content in alloyed electrolytic precipitate is
1. 0.10%
2. 0.20%
3. 0.50%
4. 0.80%

Correct answer: 1. 0.10%